A 45year-O1d male has rhinitis, bronchial asthma, eosinophilia, and systemic vasculitis. What is the probable diagnosis?
1. Goodpasture syndrome
2. Cryptogenic fibrosing alveolitis
3. Churg-Strauss syndrome
4. Sarcoidosis

Correct answer: 3. Churg-Strauss syndrome

Explanation: Churg-Strauss syndrome,also referred to as allergic angiitis and granulomatosis,is characterised by asthma,peripheral and tissue eosinophilia,extravascular granuloma formation,and vasculitis of multiple organ systems.The pulmonary findings in Churg-Strauss syndrome are severe asthmatic attacks and the presence of pulmonary infiltrates.The characteristic laboratory finding in virtually all patients with Churg-strayss syndrome is a striking eosinophilia,which reaches levels>1000 cells/microL in >80% of patients.Approximately,48% of patients with Churg-Strauss syndrome have circulating ANCA that is usually antimyeloperoxidase. Ref:Harrison's medicine-18th edition,page no:2793.